Not a part of National Screening Programmes?
1. Diabetes mellitus
2. Carcinoma cervix
3. Refractive errors
4. Dental caries

Correct answer: 4. Dental caries

Explanation: Diabetes mellitus: Under ‘National programme for Prevention and Control of Diabetes, Cardiovascular diseases and Stroke’, screening is done by Urine for glucose (2 hours after a meal), Fasting blood sugar or random blood sugar (confirmatory testing is done by Standard Oral Glucose Test – 2hour value after 75 grams glucose).
Carcinoma cervix: Under ‘National Cancer Control Programme’, Visual inspection with Acetic acid (more realistic) have been recommended.
Refractive errors: Under ‘National Programme for Control of Blindness (school vision screening programme) screening for refractive errors is recommended once every 6 months.
Dental caries: Under ‘National Oral Health care Programme’, components of pilot project (XI Five Year Plan) include oral health education, IEC and strengthening oral health set-up at district level/PHCs/CHCs.